What is the percentage of patients with disseminated discoid lupus erythematosus who develop SLE?
1. 2%
2. 22%
3. 52%
4. 82%

Correct answer: 2. 22%

Explanation: The risk is higher in patients with disseminated DLE (22%) than in DLE confined to the head and neck (1.2%). Females developing DLE before the age of 40 years,with HLA-B8 in their histocompatibility type, have an increasedrisk of 'converting' to SLE. Neither immunological nor biochemical abnormalities appear to alter the patient's progress. Note: Carpet tack/tin tack sign is positive in DLE lesions. Ref: Rook's textbook of dermatology, Edition-8, Page 51.20.